Regarding ambylopia which of the following is true-a) Spectacles should be usedb) T/t with occlusion methodc) Surgery is the TOCd) Idiopathic condition
1. ac
2. ab
3. ad
4. bc

Correct answer: 2. ab